Measles vaccination compagin between 9-14 years age for elimination is -
1. Keep up
2. Follow up
3. Mop up
4. Catch up

Correct answer: 4. Catch up

Explanation: WHO's measles elimination strategy comprises a three part vaccination strategy, i.e. :-

i) Catch-up → One-time, nationwide vaccination campaign targeting usually all children aged 9 months to 14 years regardless of history of measles disease or vaccination status.
ii) Keep-up → Routine services aimed at vaccinating more than 95% of each successive birth cohort.
iii) Follow-up → Subsequent nationwide vaccination campaign conducted every 2-4 years targeting usually all children born after catch-up campaign.

The priorties of countries persuing measles control include :-


Improve routine vaccination coverage level to at least 90%.
Active coverage of more than 90% in catch-up and follow-up campaigns or active coverage of more than 90% with routine second dose of measles vaccine.
Establish case - based surveillance with laboratory confirmation of suspected cases and virus isolation from all chains of transmission.
Conduct supplementary vaccination campaign together with administration of vitamin 'A' in high risk areas.


In India, measles is a major cause of morbidity and a significant contributor to childhood mortality. Prior to the immunization programme, cyclical increase in the incidence of measles were recorded every third year. With the increase in immunization coverage levels, the intervals between cyclic peaks has increased and the intensity of the peak minimized.
Epidemic of measles occur if proportion of susceptible children is > 40%
If measles is introduced in a virgin community, it infects > 90% of children.
Eradication of measles requires vaccine coverage > 96%

Following information has been added in 22nd/e of Park

At the 2010 World Health Assembly, member states endorsed the following targets to be met by 2015 as milestones towards eventual global measles eradication: - (i) Raise routine coverage with the first dose of measles vaccine to ≥ 90% nationally and ≥ 80% in every district; (2) Reduce and maintain annual measles incidence to < 5 cases per million; and (3) Reduce measles mortality by ≥ 95% in comparison with estimated level in the year 2000.